Type 'A' personality is characterized by all of the following, EXCEPT:
1. Hostility
2. Time Urgent
3. Hard Driving
4. Mood fluctuations

Correct answer: 4. Mood fluctuations

Explanation: In the 1950s, Friedman and Rosenman began studying the relationship between coronary heart disease and a personality style they labeled "Type A"--hard driving, time urgent, and hostile. This was contrasted to a personality style they labeled "Type B," which was defined as the absence of Type A characteristics, that is, easy-going, patient, and soft-spoken. Why is this significant? Their initial findings were that Type As were more than twice as likely as Type Bs to develop heart disease in the form of angina, silent heart attacks, overt heart attacks, and coronary death. Although subsequent large-scale studies failed to show this relationship, more recent research has isolated a "toxic core" of Type A that includes hostility, anger, cynicism, suspiciousness, and excessive self-involvement. Hostility is conceptualized as comprising three elements: the emotion of anger, its expression, and cognitions of cynical mistrust. Using well-validated measures of the cognitive aspect of hostility, recent research has linked higher hostility scores with subsequent coronary events like hospitalizations for angina, nonfatal MI, stroke, and congestive heart failure. Higher hostility has also been associated with coronary risk factors, such as increased plasma homocysteine levels, triglycerides, body mass index, waist-to-hip ratio, glucose levels, alcohol consumption, and smoking. In a study of middle-aged women each one-point increase in hostility scores predicted a significantly higher intimal-medial thickening in the carotid arteries. Ref: Christensen J.F. (2008). Chapter 31. Stress & Disease. In M.D. Feldman, J.F. Christensen (Eds), Behavioral Medicine: A Guide for Clinical Practice, 3e.